Which of the following are prodrugs ?
1. Mercaptopurine
2. Dipivefrine
3. Enalapril
4. All of these

Correct answer: 4. All of these

Explanation: - Among given options Enalapril, Dipivefrine and Mercaptopurine are prodrugs.